Senile caries refers to:
1. Residual caries.
2. Root caries.
3. Pit and fissure caries
4. Recurrent caries.

Correct answer: 2. Root caries.

Explanation: Root caries or senile caries occur on the tooth that has been exposed to the oral environment.